A 65-year-old male with CHF exacerbation is given IV furosemide. Which of the following adverse events are not associated with this medication
1. Hypotension
2. Hyperkalemia
3. Worsening renal function
4. Transient neurotoxicity from high dose

Correct answer: 2. Hyperkalemia

Explanation: Furosemide infusion may cause transient ototoxity with higher doses. Hypo tension, hypokalemia, and azotemia with possible worsening renal failure are all possible adverse events with furosemide. Ref:- KD Tripathi